Prolonged blockade of Eustachian tube leads to -
1. Atelectatic ear
2. Cholesteatoma
3. Perforation
4. All of the above

Correct answer: 4. All of the above

Explanation: Ans. is 'd' i.e., All of the above Effects of acute and prolonged tubal blockageAcute tubal blockage|Absorption of ME gases|Negative pressure in ME|Retraction of TM|Transudate in ME/haemorrhage (acute OME)Prolonged tubal blockage/dysfunction|OME (thin watery or mucoid discharge)|Atelectatic ear/ perforation|Retraction pocket/ cholesteatoma|Erosion of incudostapedial jointME, middle ear; TM, tympanic membrane; OME, otitis media with effusion.